Which of the following anticancer drug causes hemolytic uremic syndrome:
1. Vincristine
2. Vinblastine
3. Cisplatin
4. Mitomycin C

Correct answer: 4. Mitomycin C

Explanation: Ref: KDT 6th ed. pg. 827* After 8-10 months of start of mitomycin-C treatment, the drug leads to endothelial damage* The Renal lesions seen are similar to those seen in idiopathic HUS and include arteriolar fibrin thrombi, expanded sub-endothelial zones in glomerular capillary walls.* HUS can be seen with: Mitomycin C, Gemcitabine